Secondary level of prevention includes all of the following except:
1. Health screening for Diabetes Mellitus
2. Case finding for Falciparum Malaria
3. Contact tracing for STIs
4. Reconstructive Surgery in Leprosy

Correct answer: 4. Reconstructive Surgery in Leprosy

Explanation: Ans. (d) Reconstructive Surgery in Leprosy* Health screening for Diabetes Mellitus, Case finding for Falciparum malaria and Contact tracing for STIs represent Secondary level of prevention: as disease has possibly set in and we want to diagnose early and provide treatment* Reconstructive Surgery in Leprosy: Disease (leprosy) with possible deformities have already taken place and we are now aiming to rehabilitate the patient through reconstructive surgery; thus it is a form of Tertiary level of prevention